Which of the following statement is true for physiological jaundice in neonate?
1. Occurs in the first 6 hours of delivery
2. Neurological sequelae are common
3. Best treated by phototherapy
4. Starts on 2nd day of life

Correct answer: 4. Starts on 2nd day of life

Explanation: Most neonates develop visible jaundice due to elevation of unconjugated bilirubin concentration during their first week. This common condition is called Physiological jaundice. It lasts for 5 days in term infants & 7 days in preterm infants. It doesnot require any treatment & disappers spontaneously. In pathological jaundice clinical jaundice will appear in the first 24hrs of life. Ref: Nelson, 18th Edition, Pages 760-761; O P Ghai, 6th Edition, Pages 170-171.